After the stimulation is removed the response of normal pulp to hot or cold is:
1. Brief pain
2. Prolonged pain
3. Brief feeling of warmth or cold
4. Prolonged feeling of warmth or cold

Correct answer: 1. Brief pain